The MR imaging in multiple sclerosis in the following illustration will show lesions in:
1. White matter
2. Grey matter
3. Thalamus
4. Basal ganglia

Correct answer: 1. White matter

Explanation: Ans. A. White matterMultiple sclerosis is a demyelinating disorder. Hence the lesions will be seen in the white matter (due to loss of myelin).Sagittal T1-weighted MRI depicts multiple hypointense lesions in the corpus callosum; this finding is characteristic of multiple sclerosis.